All are the contraindications for vaginal birth after previous caesarean except
1. Previous classical uterine incision
2. Previous lower segment transverse caesarean
3. Presence of inverted T shaped uterine incision
4. Where facilities for emergency caesareans are not available

Correct answer: 2. Previous lower segment transverse caesarean

Explanation: Previous classical incision and previous inverted T shaped incision is absolutely contraindicated in vaginal birth after caesarean section. It is again contraindicated if facilities to do an emergency caesarean section is unavailable. But previous lower segment caesarean section can undergo VBAC but should not be forced. (Sheila TB of obstetrics 2nd edtn pg 339,340)